Primary action of superior oblique:
1. Adduction
2. Intorsion
3. Abduction
4. Extorsion

Correct answer: 2. Intorsion

Explanation: Ans. B i.e. Intorsion Extraocular muscles Intoors of the eye: Superior oblique & Superior rectus Action of superior oblique: Abduction, Inoion & Depression Nerve supply of superior oblique: Trochlear (4th cranial nerve) Levator palpebrae superioris is supplied by: 3rd cranial nerve (oculomotor) Muscle attached to posterior tarsal margin: Muller's muscle